Average blood loss in normal menstruation
1. 50 mL
2. 80 mL
3. 100 mL
4. 120 mL

Correct answer: 1. 50 mL

Explanation: The duration of menstruation is 4-5 days and the amount of blood loss estimated to be 20-80ml with an average of 35ml. Reference: D.C.DUTTA'S TEXTBOOK OF GYNECOLOGY; 6th edition; PG NO:82